Parenteral direct thrombin inhibitor ?
1. Ximelagatran
2. Dabigatran
3. Argatroban
4. Heparin

Correct answer: 3. Argatroban

Explanation: Ans. is 'c' i.e., Argatroban Parentral direct thrombin inhibitors Argatroban Bivalirudin Hirudin Lepirudino Melagatran Desirudin Oral Direct thrombin inhibitors Dabigatran (recent) Ximelagatran (withdrawn)